Ectopic ureter may be frequently associated with-
1. Oliguria
2. Dysuria
3. Bilateral hydroureter
4. paradoxical incontinence

Correct answer: 4. paradoxical incontinence